Choose the best Lab value for a patient with central diabetes insipidus- Urinary Osmolality & Serum Osmolality
1. 50 300
2. 500 260
3. 50 260
4. 500 100

Correct answer: 1. 50 300

Explanation: Ans is option 1 Urinary osmolality 50 and serum osmolality 300 Diabetes insipidus is the reverse of SIADH, here the ADH level is decreased which leads to excessive water loss from the kidney resulting in hypertonic plasma associated with dilute urine. So best value is option a Ref Harrison 17/e p 2219 Nelson 16/e p2099, 1575